Trouser leg appearance in myelography is seen in which tumor
1. Extradural
2. Intradural
3. Intra medullary
4. All the above

Correct answer: 3. Intra medullary

Explanation: Intramedullary  - Widening of cord, Trouser leg appearance.